Best way to dispose Electronic waste is:
1. Burning
2. Incineration
3. In a landfill
4. Recycling

Correct answer: 4. Recycling

Explanation: Recycling